Pauci immune glomerulonephritis is seen in-
1. After transplant in Alports
2. Microscopic polyangitis
3. Henoch-schonlein nephritis
4. Lupus

Correct answer: 2. Microscopic polyangitis

Explanation: Pauci-immune type crescentic GN is defined by the lack of anti-GBM antibodies or significant immune complex deposition. Anti-neutrophil cytoplasmic antibodies (ANCA) typically are found in the serum, which, have a pathogenic role in some vasculitides. In some instances, therefore, crescentic GN is a component of systemic vasculitis such as microscopic polyangiitis or granulomatosis with polyangiitis. Ref: ROBBINS BASIC PATHOLOGY 10th ed Pg no: 563